Which of the following is NOT an important/ frequent/well-known manifestation of an adverse drug reaction?
1. Agranulocytosis
2. Aplastic anaemia
3. Haemolysis
4. Leukaemia

Correct answer: 4. Leukaemia